All of the following syndromes are associated with short stature EXCEPT?
1. Seckel syndrome
2. Turner syndrome
3. Down syndrome
4. Klinefelter syndrome

Correct answer: 4. Klinefelter syndrome

Explanation: Syndromes associated with short stature include: Seckel syndrome, Turner syndrome & Down syndrome. Klinefelter syndrome(XXY syndrome) is associated with: Tall stature- decreased upper body: lower body segment ratio Learning disabilities Gynecomastia Hypotonia Testicular atrophy | autoimmune disorders (SLE) | risk of cancers (testicular teratoma) | congenital cardiac defects (MVP)